True about Erb's Palsy
1. Abduction and Internal rotation
2. Claw hand is seen
3. C5, C6 roots affected
4. Supination seen

Correct answer: 3. C5, C6 roots affected